Viral plaque is made in lab for -
1. Quantitative assay of infectivity of virus
2. Diagnosis of virus
3. Qualitative assay of infectivity of virus
4. Type of virus

Correct answer: 1. Quantitative assay of infectivity of virus

Explanation: Quantitative assays measure the actual number of infectious particles in the inoculum includes 2 methods-plaque assay and pock assay. REF:ANATHANARAYAN AND PANIKER'S TEXTBOOK OF MICROBIOLOGY 8TH EDITION PAGE NO:437